A 70 kg man was given a drug in a dose of 100 mg/kg body weight. Its t1/2, is 10 hours, initial plasma concentration is 1.9 mg/ml. True statement is: a) CL is 0.02 litre/hr b) CL is 20 litre/hr c) k is 0.0693 d) k is 6.93 e) CL is 0.2 litre/hr
1. ab
2. ad
3. ce
4. ae

Correct answer: 3. ce